The volume of the orbit is about:
1. 30 cc
2. 40 cc
3. 50 cc
4. 60 cc

Correct answer: 1. 30 cc

Explanation: Ans. 30 cc